Glossitis and cheilitis seen with which Vit. deficiency:
1. Vit. B2
2. Vit. B12
3. Vit. K
4. Vit D

Correct answer: 1. Vit. B2

Explanation: A i.e. B2